Which one of the following is the treatment of choice for lower ureteric stone
1. Endoscopic removal
2. Diuretics
3. Drug dissulation
4. Laser

Correct answer: 1. Endoscopic removal

Explanation: SWL and URS both remain the mainstays of treatment of distal ureteral stones . It should be clear that it is imperative to tailor therapy choices to the individual patient, after careful discussion of outcomes of treatment: success rates, adjunctive procedures, and treatment related morbidity. Both patient factors (body habitus, coagulation status, medical comorbidities) and stone factors (location, burden, composition) must be considered when selecting the optimal treatment for ureteral calculi. ref :- Campbell - Walsh urology 11th ed , chapter 53 , pg no 1253